Drug induced pemphigus is seen in all except
1. Penicillin
2. Phenopthelein
3. Iodine
4. Frusemide

Correct answer: 4. Frusemide

Explanation: D i.e. Frusemide- Induced pemphigus is induced by radiotherapy (PV & PF ), thermal burns and electrical injury (PV), vegetables of Allium group, Human herpes virus 8 DNA and drugs.- Drug induced pemphigus usually resembles PF (>PV) and is caused by thiol (sulphydryl) and non thiol containing drugs biochemical and immunological mechanisms respectively. The sulfhydryl group in desmoglein 1,3 becomes more antigenic because of interference of sulfhydryl group of thiol drugs. So the prognosis is better upon drug withdrawl of thiol group drugs.Drugs containing thiol (sulphydryl) group such as penicillamine, captopril, enalaprilQ are most commonly associated with drug induced pemphigus (Harrison). Non thiol drugs linked to pemphigus include - penicillinsQ, cephalosporins, piroxicam, pyrazolam derivatives (eg. phenylbutazone), propranolol, chloroquine, hydroxy chloroquine, rifampicin, montelukast, interferon, other ACE inhibitors eg enalapril, ramapril, fosinopril and angiotension II receptor blockers condesartan and telmisartan (Rook's). Iodine (radioactive & non radioactive) and phenopthaleinQ may also lit pemphigus.